Renal stones which are laminated and irregular in outline are -
1. Uric acid
2. Calcium oxalate
3. Struvite
4. Cystine

Correct answer: 2. Calcium oxalate

Explanation: Ans. is 'b' i.e.. Calcium oxalate o Calcium oxalate stones - Usually single, hard (aka Mulberry stone) -Dark colored d/t staining with altered blood.Spiky.On section - Wavy concentric laminae.There may be secondary phosphate deposit on surface.High calcium content.o Uric acid/urate stones - Moderate hardness -Usually muliple and faceted.Yellow to dark brown.On section -- Wavy concentric markings (not laminae!!)Radioleucent, occur in acidic urine.o Cystine calculi -Usually multiple, softYellow or pink - hue gradually changes to green on exposure to air.Occur in acid urineCystine crystals are hexagonal, white and translucent.o Xanthine CalculiSmooth, round & brick red.Lamellar on cut section.o Indigo calculiBlue in colour derived from Indican.o Phosphate/triple phosphate/struvite/staghorn calculus.Composed of calcium phosphate/ammonium magnesium phosphate.Smooth, soft, friable.On section -- Laminated appearence.